The first line antileprosy drugs include all except?
1. Dapsone
2. Thiacetazone
3. Clofazimine
4. Rifampicin

Correct answer: 2. Thiacetazone

Explanation: B. i.e. Thiacetazone